Reciprocal inhibition is done by:
1. Systematic desensitization
2. Flooding
3. Exposure and response prevention
4. Psychoanalysis

Correct answer: 1. Systematic desensitization

Explanation: The principle of reciprocal inhibition is used in the technique of systematic desensitization. If an anxiety provoking stimulus is provided, while a person is in a relaxed state, the anxiety gets inhibited This is used in phobias, OCD. Flooding- Maximum stimulus is given in first response. Exposure , Response Prevention -Similar to systematic desensitisation except there is no relaxation.